A  vasodilator is obtained after decarboxylation of:
1. Histidine
2. Arginine
3. Tyrosine
4. Glycine

Correct answer: 1. Histidine

Explanation: Histidine on decarboxylation gives histamine which is a vasodilator.